Muscle attached to lateral surface of greater trochanter -
1. Gluteus maximus
2. Gluteus medius
3. Gluteus minimus
4. Piriformis

Correct answer: 2. Gluteus medius

Explanation: Ans. is 'b' i.e., Gluteus mediusAttachments of greater trochanter (GT) All are insertionsPart of GTMuscle insertedApex (tip) of GTPiriformisAnterior surface (lateral part)Gluteus minimusLateral surfaceGluteus mediusMedial surfaceObturator internus & two gemelliTrochanteric fossaObturator externus